α polypeptide of hemoglobin closely resembles which of the following?
1. Collagen
2. Albumin
3. Myoglobin
4. Transferrin

Correct answer: 3. Myoglobin

Explanation: Although it possesses seven rather than eight helical regions, the α polypeptide of hemoglobin also closely resembles myoglobin.
Ref: Harper’s illustrated biochemistry. 30th edition page no: 54